A diabetic patient presents with pus from eye. Colonies of isolated organisms are black with microscopic feature of non-septate hyphae and obtuse branching. Diagnosis is -
1. Aspergillosis
2. Candidiasis
3. Mucormycosis
4. Histoplasmosis

Correct answer: 3. Mucormycosis